In beta thalassemia trait, electrophoresis shows:-
1. Increased HbF & normal HbA2
2. Normal HbF & normal HbA2
3. Normal HbF & increased HbA2
4. Decreased HbF & normal HbA2

Correct answer: 3. Normal HbF & increased HbA2

Explanation: In any kind of hemoglobinopathy IOC - HPLC Thalassemia trait - ||HbA2; normal HbF is seen b - thalassemia major characteristic finding would be-||HbF